Type of growth of streptococcus pyogenes on blood agar -
1. Alpha hemolytic
2. Beta hemolytic
3. Gamma hemolytic
4. Non-hemolytic

Correct answer: 2. Beta hemolytic

Explanation: Ans. is 'b' i.e., Beta hemolytic Hemolysis | |||Alpha (a)Beta (b)Gamma (g)* Greenish discolouration with partial hemolysis around the colonieseg - Str. pneumoniae, Str. viridans* Colourless zone of complete hemolysiseg - Str. pyogenes (grp A)Str. agalactiae (grp B)Str equisimilis (grp c)* No hemolysiseg - Enterococci (grp d)